Amifostine protects all of the following except:
1. CNS
2. Kidneys
3. Salivary glands
4. GIT

Correct answer: 1. CNS

Explanation: Amifostine It is a prodrug that is dephosphorylated by alkaline phosphatase in tissues to a pharmacologically active free thiol metabolite Cause reduction of the cumulative renal toxicity of cisplatin and toxic effects of radiation on normal oral tissues Amifostine protects -Kidneys - Salivary glands - GIT